Linear enamel caries is called as:
1. Odontoclasia.
2. Occult caries
3. Fluoride bomb
4. None of the above

Correct answer: 1. Odontoclasia.

Explanation: In odontoclasia Gross destruction of labial surface of anterior maxillary teeth occurs.